All the following are features of prematurity in a neonate except
1. No creases on sole
2. Abundant lanugo
3. Thick ear cartilage
4. Empty scrotum

Correct answer: 3. Thick ear cartilage

Explanation: Ear cartilage of the newborn is thin and elastic. Reference: GHAI Essential pediatrics, 8th edition